Gasless abdomen in X ray seen in
1. Acute Pancreatitis
2. Intusussception
3. Ulcerative Colitis
4. Necrotising Enterocolitis

Correct answer: 1. Acute Pancreatitis

Explanation: Causes of Gasless Abdomen: * Mesentric Ischemia * Midgut volvulus * Acute Pancreatitis Signs in X ray in Acute Pancreatitis:- * Colon cut off sign * Sentinel Loop * Ground glass appearance * Renal halo sign * Gasless abdomen Ref:- Surgery Sixer; Pg num:- 692